Curare poisoning is characterised by:
1. Hypertension
2. Hypotension
3. Doesn't release histamine
4. Oral route of administration is the best route

Correct answer: 2. Hypotension